Climbing fiber inputs in the cerebellum stimulate
1. Granule cells
2. Golgi cells
3. Purkinje cells
4. Basket cells

Correct answer: 3. Purkinje cells

Explanation: Climbing fibers from contralateral inferior olive terminate on Purkinje cells, and also send a collateral innervation to the corresponding deep cerebellar nuclei RELAYS OF CEREBELLAR CIRCUIT Basket cells - Inhibits - Purkinje cell Stellate cells - Inhibits - Purkinje cell Climbing fibres - Stimulate - Purkinje cell Purkinje cells- Inhibits - Deep cerebellar nuclei Mossy fibres - Stimulate - Granule cells Granule cells - Stimulate - Stellate, basket, Purkinje, Golgi cells Golgi cells - Inhibitory - Interneuron NEURONS IN CEREBELLUM Granular cells > EXCITATORY NEURONS